Following is true about oculocardiac reflex except ?
1. It is also called aschner phenomenon
2. It is mediated by occulomotor and vagus nerve
3. It is characterized by bradycardia following traction on extra-ocular muscles
4. Reflex is more sensitive in neonates

Correct answer: 2. It is mediated by occulomotor and vagus nerve

Explanation: Ans. is 'b' i.e., It is mediated by occulomotor and vagus nerve Oculocardiac reflex Oculocardiac reflex, is also known as Aschner phenomenon, Aschner reflex, or Aschner-Dagnini reflex, o It is characterized by decrease in pulse rate (bradycardia) associated with traction applied to extraocular muscles and/or compression of the eyeball. The reflex is mediated by nerve connections between the ophthalmic branch of the trigeminal cranial nerve the ciliary ganglion, and the vagus nerve of the parasympathetic nervous system. This reflex is especially sensitive in neonates and children, particularly during strabismus correction surgery. However, this reflex may also occur with adults. Bradycardia, junctional rhythm and asystole, all of which may be life-threatening,can be induced through this reflex.